A Schizophrenic patient is responding well to haloperidol. But, now he has developed symptoms of parkinsonism. What is the drug of choice to treat this condition -
1. Levodopa
2. Bromocriptine
3. Tolcapene
4. Anticholinergic

Correct answer: 4. Anticholinergic

Explanation: Ans: D AnticholinergicExtrapyramidal side effects of antipsvchotics.Major dose limiting side effects.Maximum with halopridol.Parkinsonism:Appears between 1-4 weeks of therapy.Central anticholinergics like benzhexol are durg of choice for drug induced Parkinsonism.